Not a differential Diagnosis for grey white membrane on Tonsil
1. Candidiasis
2. Ludwig's Angina
3. Vincent's Angina
4. Malignancy tonsil

Correct answer: 2. Ludwig's Angina